Baby starts speaking sentence of few words at what age?
1. 1 year
2. 2 years
3. 18 months
4. 15 months

Correct answer: 2. 2 years

Explanation: 2 years REF: Nelson Textbook of Paediatrics 17th edition page 1874, http://en.wikipedia.org/wiki/Child Developmental Milestones Age Motor Speech Vision and hearing Additional notes 4-6 weeks When held upright, holds head erect and steady Smiles at parent 6-8 When prone, lifts self by arms; Vocalizes; Cooes Focuses on objects as weeks rolls from side to back. (makes vowel- like noises). well as adults 12-20 Hand regard: Serves to practice weeks following the hand with the eyes.131. Color vision adult-like. emerging visual skills.vil Also observed in blind children.[31 3 Prone:head held up for Makes vowel Follows dangling toy Squeals with delight months prolonged periods. No grasp noises from side to side. appropriately. reflex Turns head round to sound. Follows adults' gaze (joint attention). Sensitivity to binocular cues emerges. Discriminates smile. 5 Holds head steady. Goes for Enjoys vocal months objects and gets them. Objects taken to mouth play; 6 Transfers objects from one Double syllable Localises sound May show 'stranger months hand to the other. Pulls self sounds such as 45 cm lateral to shyness' up to sit and sits erect with mumum' and either ear. Visual supports. Rolls over prone to `dada'; babbles acuity adult-like supine. Palmar grasp of cube (consonant- vowel combinations) (20/20). Sensitivity to pictorial depth cues (those used by artists to indicate depth) emerges. 9-10 Wiggles and crawls. Sits Babbles tunefully Looks for toys Apprehensive about months unsupported. Picks up objects with pincer grasp dropped strangers 1 Stands holding furniture. Babbles 2 or 3 Drops toys, and Cooperates with year Stands alone for a second or two, then collapses with a bump words repeatedly watches where they go dressing, waves goodbye, understands simple commands 18 Can walk alone. Picks up toy jargon'. Many Demands constant months without falling over. Gets up/down stairs holding onto rail. Begins to jump with both feet. Can build a tower of 3 or 4 cubes and throw a ball intelligible words mothering. Drinks from a cup with both hands. Feeds self with a spoon. Most children with autism are diagnosed at this age. 2 Able to run. Walks up and Joins 2-3 words Parallel play. Dry by years down stairs 2 feet per step. in sentences day Builds tower of 6 cubes 3 years Goes up stairs 1-foot per step Constantly Cooperative play. and downstairs 2 feet per step. asks questions. Undresses with Copies circle, imitates cross Speaks in assistance. Imaginary and draws man on request. sentences. companions Builds tower of 9 cubes 4 years Goes down stairs one foot Questioning Dresses and per step, skips on one foot. at its height. undresses with Imitates gate with cubes, copies a cross Many infantile substitutions in speech assistance. Attends to own toilet needs 5 years Skips on both feet and hops. Fluent speech Dresses and Draws a man and copies a triangle. Gives age with few infantile substitutions in speech undresses alone 6 years Copies a diamond. Knows right from left and number of fingers Fluent speech